Sigmund Freud is associated with which of the following ?
1. Group Psychotherapy
2. Psychoanalysis
3. Sociogram
4. Cognitive Behavior Therapy

Correct answer: 2. Psychoanalysis